Multiple strictures in intenstine are found in -
1. Radiation enteritis
2. Duodenal ulcer
3. Ulcerative colitis
4. Gastric erosion

Correct answer: 1. Radiation enteritis